Not diagnostic of schizophrenia:
1. Disorganized behavior
2. Suicidal attempt
3. Delusions
4. Catatonia

Correct answer: 2. Suicidal attempt

Explanation: Ans. Suicidal attempt